True about corynebacterium diphtheria includes all of the following except:
1. Deep invasion is not seen
2. Elek's test is done for toxigenicity
3. Metachromatic granules are seen
4. Toxigenicity is mediated by chromosomal change

Correct answer: 4. Toxigenicity is mediated by chromosomal change

Explanation: Ans. (d) Toxigenicity is mediated by chromosomal change "Corynebacteriophage beta carries the structural gene (tox+) encoding diphtheria toxin and a family of closely related corynebacteriophage are responsible for toxigenic conversion of tox- C.diphtheria to tox+ phenotype." Elek's gel precipitation test is in vitro test for toxin detection.